Not a complication of pertussis
1. Pneumonia
2. Convulsions
3. Cerebellar ataxia
4. Subconjuncti val hemorrhage

Correct answer: 3. Cerebellar ataxia

Explanation: Complications of Pertussis Pneumonia (most frequent) Atelectasis Subcutaneous emphysema Bronchiectasis Otitis media Reactivation of tuberculosis Convulsions Coma Epistaxis Subconjunc val hemorrhage Rupture of diaphragm Umbilical hernia Rectal prolapse Melena Inguinal hernia Dehydration Ulcer of tongue Protein-energy malnutrition